All are related to facial nerve EXCEPT:
1. Maxillary process
2. Stylomastoid foramen
3. Posterior belly of diagstric muscle
4. Parotid gland

Correct answer: 1. Maxillary process

Explanation: Ans. A Maxillary processRef: BDC, Vol-3 pg. 355-356* The facial nerve leaves the skull by passing through the stylomastoid foramen.* Branches and Distribution:# Within the facial canal:- Greater petrosal nerve- to the eye (lacrimal gland)- The nerve to the stapedius- to the stapedius muscle in middle ear- The chorda tympani- to the tongue# At its exit from the stylomastoid foramen it gives out branches to Posterior auricular, Digastrics and stylohyoid.# It has terminal branches within the parotid gland also like, temporal, Zygomatic, Buccal, Marginal mandibular and Cervical.